Identical twins may not have :
1. Same DNA finger
2. Same finger print pattern
3. Same blood group
4. Same HLA system

Correct answer: 2. Same finger print pattern

Explanation: B i.e. Same finger print